Which of the following is good prognostic factor for neuroblastoma?
1. Diploidy
2. N-myc amplification
3. Loss of 11q
4. Triploidy

Correct answer: 4. Triploidy

Explanation: Ans. is 'd' i.e., Triploidy Prognostic Factors in Neuroblastomas1) Good prognostic factors are age < 1 year, stage 1 and 2, Hyperdiploidy/ Triploidy, and Trk A expression, CD- 44 Expression2) Poor prognostic factors are age > 1 year; stage 3 and 4, Diploid, near-diploid or near-tetraploid N-myc amplification; deletion of chromosome 1 and 14; allelic loss of 11 q and 14 q; and gain of 17 q, TrK - B expression, MRP Expression, Telomerase Expression, elevated ferittin and LDH.Also remembero It is the most common malignancy of infancy, the most common abdominal cancer in children, and most common extracranial solid tumor of childhood.o Sites of involvement are adrenal medulla (most common), pelvis, cervical area (neck), posterior mediastinum, and paravertebral retroperitoneum.